Herpes zoster oticus is caused by-
1. Herpes virus type I
2. Herpes virus type 2
3. Herpes virus type 3
4. Herpes virus type 4

Correct answer: 3. Herpes virus type 3

Explanation: Ans. C. Herpes virus type 3Herpes Zoster oticus or Ramsay - Hunt syndrome is caused by varicella (herpes) Zoster virus also know as Human herpes virus type-3.